Which of the following agents is not used to provide induced hypotension during surgery ?
1. Sodium nitroprusside
2. Hydralazine
3. Mephenteramine
4. Esmolol

Correct answer: 3. Mephenteramine

Explanation: Drugs used for controlled (induced hypotension) :- Nitroprusside, Nitroglycerine, Hydralazine, β-blockers (esmolol), adenosine, fenoldopam, volatile anesthetics.